Asymptomatic hypercalcemia in a 30 year old young male is due to :
1. Occult primary malignancy
2. Primary Hyperparathyroidism
3. Familial hypocalciuria
4. Hyper-nephroma

Correct answer: 2. Primary Hyperparathyroidism

Explanation: Answer is B (Primary Hyperparathyroidism) : The most likely cause of asymptomatic hypercalcemia in a patient aged 30 .years is primary hyperparathyroidism. Familial hypocalciuric hypercalcemia, is most often detected in the first ten years of life when hypercalcemia due to primary hyperparathyroidism is a rarity. Both primary hyperthyroidism and familial hypocalciuric hypercalcemia may present with asymptomatic hypercalcemia. The 'catch' in the above question lies in the 'are' of the patient Primary hyperparathyroidism Familial hypocalciuric hypercalcemia (F.H.H.) (autosomal dominant) * * The most common presentation in patients with primary hyperparathyroidism is `asymptomatic' hypercalcemia Commonly presents in third to fifth decade * * Affected individuals are discovered because of asymptomatic hypercalcemia Commonly presents in the first decade